Diameter of varicose veins is
1. ≥ 1mm
2. ≥ 2mm
3. ≥ 4mm
4. ≥ 3mm

Correct answer: 4. ≥ 3mm

Explanation: Varicose veins are dilated tortuous subcutaneous veins ≥ 3mm in diameter.